The failure rate of TODAY is lowest in:
1. Nullipara
2. Multipara
3. Grand multipara
4. Same in all (Does not depend on parity)

Correct answer: 1. Nullipara

Explanation: - Today is a Vaginal sponge. Vaginal sponge It is a small polyurethane foam sponge measuring 5 cm x 2.5 cm, saturated with the spermicide, nonoxynol-9. The failure rate in parous women is between 20-40 per 100 women-years and in nulliparous women about 9-20 per 100 women years. Barrier method - Has a high failure rate; only consistent use for 2 years. - Has advantage of HIV/STI protection but a 'healthy' couple may not need it.